Blood supply to greater omentum is provided by:
1. Gastric artery
2. Gastroepiploic artery
3. Splenic artery
4. All of the above

Correct answer: 2. Gastroepiploic artery

Explanation: The blood supply to the greater omentum is derived from the right and left gastroepiploic arteries. The venous drainage parallels the arterial supply to a great extent, with the left and right gastroepiploic veins ultimately draining into the portal system. Ref: Schwartz's principle of surgery 9th edition, chapter 35.